Diameter of female urethra is:
1. 3 mm
2. 4 mm
3. 5 mm
4. 6 mm

Correct answer: 4. 6 mm

Explanation: Female urethraIt is about 1.5 inches (3.8 cm) to 2 inches (5.1 cm) long and exits the body between the clitoris and the vagina, extending from the internal to the external urethral orifice.Its diameter when undilated is about 6 mm.